Minimal-change nephropathy -a) Is the commonest cause of the nephrotic syndrome in childhoodb) Does not relapse after remissionc) Produces highly selective proteinuriad) Does not cause depression of the serum complement levele) Must always be confirmed by renal biopsy
1. abc
2. ad
3. acd
4. bde

Correct answer: 3. acd